The health indicator obtained by dividing the height by cube root of weight is
1. Quetelet's index
2. Broca Index
3. Ponderal index
4. Corpulence index

Correct answer: 3. Ponderal index

Explanation: ☆ Ponderal index = height (cm)/cube root of body wgt 
☆ Quetelet's index = wgt (kg)/height square. 
☆ Broca index = height -100 
☆ Corpulence index = actual wgt/ desirable wgt